Acrodermatitis entropathica is charecterized by all of the following, EXCEPT:
1. Chronic diarrhoea
2. Protein malabsorption
3. Zinc defiency a possible etiology
4. Denuded skin around mucocutaneous junction

Correct answer: 2. Protein malabsorption

Explanation: Acrodermatitis enteropathica is a rare autosomal recessive disease caused by an inability to absorb sufficient zinc from diet. Genetic is in the intestinal Zinc specific transporter gene SLC39A4 located on chromosome 8. Zinc deficiency manifests with growth retardation, alopecia, dermatitis, chronic diarrhea, rashes around mucocutaneous junction and on the extremities. Ref: Inborn Metabolic Diseases: Diagnosis and Treatment, edited by John ernandes, Page 472